Schizoid personality disorder all are seen except-
1. Aloof & detached
2. Prone to fantasy
3. Suspicious
4. Introspective

Correct answer: 3. Suspicious

Explanation: Ans. is 'c' i.e., Suspicious o In schizoid personality disorder, there is excessive preoccupation with fan tansy and introspection and the person is markedly detached from others,o Suspiciousness is seen in paranoid personality disorder.o Schizoid personality disorder: - A person with this disorder is markedly detached from other and has little desire for close relationships. They prefer solitary intellectual activities in which they may excel. The person's life is marked by little pleasure in activities. There is excessive preoccupation with fantasy and introspection. Criticism or praise do not seemingly affect them. The patient shows emotional coldness. There is lack of close friends or confinding relationship.